The following modes of ventilation may be used for weaning off patients from mechanical ventilation except:
1. Controlled Mechanical ventilation (CMV)
2. Synchronized intermittent mandatory ventilation (SIMV).
3. Pressure support ventilation(PSV)
4. Assist-control ventilation (ACV)

Correct answer: 1. Controlled Mechanical ventilation (CMV)

Explanation: A i.e. Controlled mechanical ventilation Controlled mechanical ventilation (CMV) is best reserved for patients capable of little or no ventilatory effort. In this mode, VT and ventilatory rate are fixed (minute ventilation) regardless of patient effort, because patient can not breathe spontaneously. So this mode will pay no role in weaning a patient from mechanical ventilation, setling to limit inspiratory pressure guard against pulmonary barotraumaQ. In Assist control ventilation (ACV) by incorporating a pressure sensor in breathing circuit, the patients inspiratory effort can be used to trigger inspiration. The ventilator can be set for a fixed ventilatory rate, but each patient effort of sufficient magnitude will trigger the set VT (tidal volume). And if the spontaneous inspiratory efforts are not detected the machine functions as if in the control mode. Criteria for Discontinuing (weaning) of Mechanical Ventilation Mechanical Criteria Weaning Modes - Inspiratory pressure < 25cm.1-120 - Synchronized Intermittent mandatory ventilation (SIMV) Q - Tidal volume > 5m1/kg - Intermittent mandatory ventilation (IMV) - Vital Capacity > 10m1/kg - Pressure support ventilation(PSV)Q - Minute ventilation < 10m1 - Weaning with a T-piece or CPAP (continuous positive - Rapid shallow breathing index < 100 airway pressure) - Assist control ventilation (ACV) Q+-